Which of the following not commonly known to increase in pregnancy?
1. Glioma
2. Pituitory adenoma
3. Meningioma
4. Neurofibroma

Correct answer: 1. Glioma

Explanation: Common pituitary problem associated with pregnancy is growth of pituitary tumors, most commonly prolactinomas. Meningiomas may increase in size during pregnancy. Sudden increase in the number and size of cutaneous neurofibromas often occurs during pregnancy. Amongst the options provided, all tumors other than gliomas have been mentioned to grow more rapidly with pregnancy. Ref: William's Gynaecology, 22nd Edition, Pages 1203, 1255; Gliomas By Andreas Von Deimling, 2009, Page 187.